The Halophilic Vibrio that is implicated in gastroenteritis is which of the following?
1. Vibrio Mimicus
2. Vibrio Vulnificus
3. Vibrio Alginolyticus
4. Vibrio Parahaemolyticus

Correct answer: 4. Vibrio Parahaemolyticus

Explanation: It is the causative agent of food poisoning due to sea fish. Usual signs are abdominal pain, diarrhea, vomiting and fever. Feces contain cellular exudate and blood. Dehydration is moderate. Recovery occurs in 1-3 days. Common in summer and in adults. Ref: Ananthanarayan & Panicker's, 8th Edition, Page 312